Sexually active male comes with complaints of recurrent ulcers over the glans which heals with hyperpigmentation, probable diagnosis is -
1. Aphathous ulcer
2. Fixed drug eruption
3. Herpes genitalis
4. Chlamydial infection

Correct answer: 2. Fixed drug eruption

Explanation: Fixed drug eruption manifests as skin lesions at fixed sites following drug intake. The lesions progressively fade over several days often leaving a residual post inflammatory brown pigmentation. Page no.294. Reference IADVL's concise textbook of dermatology